Stem cells are -
1. Labile
2. Stable
3. Permanent
4. None

Correct answer: 1. Labile

Explanation: Ans. is 'a' i.e., Laible Bone marrow stem cells are labile cells, i.e. Continuous dividing cells.Under appropriate conditions, tissues composed of labile cells regenerate after injury, provided that enough stem cells remain.